Testmentary capacity refers to -
1. Ability to make a valid will
2. Criminal liability
3. Right to vote
4. Ability to give evidence

Correct answer: 1. Ability to make a valid will

Explanation: Ref:The essential of forensic medicine and toxicology Dr.K.S NARAYAN REDDY 32nd edition pg no 468 Testamentary capacity is a mental ability of a person to make a will . Will denotes any testamentary document ( S.31, IPC ) .the requirments for a valid wills are as follows a written and propersly signed and witnessed document must exist . the testattor must be major and of sound dispossing mind at the time of making a will. force undue influence or dishonest representation of facts should not have been applied by others